Formation of Etiological Hypothesis is
1. Destriptive Epidemiology
2. Analytical Epidemiology
3. Experimental epidemiology
4. None of the above

Correct answer: 1. Destriptive Epidemiology